Some times the following diastolic sounds heard during cardiac auscullation -
1. S3
2. S4
3. Opening snap
4. All of the above

Correct answer: 4. All of the above